All are true about Thoracolumbar facia except:
1. Attached to spinus process of lumbar vertebra
2. Attached to transverse process of lumbar verterbra
3. The facia lies posterior to posterior abdominal wall muscles.
4. Gives attachment to Transverse abdominal and Internal oblique

Correct answer: 3. The facia lies posterior to posterior abdominal wall muscles.

Explanation: C i.e. The fascia lies posterior to posterior abdominal wall musclesThe muscles of posterior abdominal wall are psoas major & minor, iliacus, & quadratus lumborum. And the thoracolumber fascia lies both anterior & posterior (not only posterior) to the muscles of posterior abdominal wall Q